Hirsutism is caused by:
1. Minoxidil
2. Propranolol
3. Calcium channel blockers
4. Sodium nitroprusside

Correct answer: 1. Minoxidil

Explanation: Ans: aRef: Harrison, 16,hed, p. 276, Table 44.1